Among the given rheumatology disorders all are associated with multiple cranial nerve palsy except :
1. Kawasaki disease
2. Polyarteritis nodosa
3. Trauma
4. Wegener's granulomatosis

Correct answer: 1. Kawasaki disease

Explanation: MULTIPLE CRANIAL NERVE PALSIES Several cranial nerves may be affected by the same disease process. It is crucial to determine whether the lesion lies within the brainstem or outside it. Here, Kawasaki disease does not have mulpile cranial nerves involved Multiple cranial nerve palsy: 1. Infections:- (Bacterial,Viral,fungal,parasitic,etc) 4.Bone diseases :- Osteopetrosis Hyperostosis Fibrous dysplasia Paget's disease 2.Inflammatory:-(Mnemonic-LAN-BAT) Lymphomatous meningitis Amyloidosis Neoplastic Carcinomatous Behcets syndrome Acute inflammatory demyelinating polyneuropathy Tolosa-Hunt syndrome 5. Vasculitis Wegner's granulomatosis Lymphomatoid granulomatosis Temporal arteritis Polyarteritis nodosa 3.Trauma 6.Toxins:- (Vincristine/vinblastin)